Which one of the following is used in Cardiovascular imaging?
1. Second generation CT
2. Third generation CT
3. Spiral CT
4. Multidetector CT

Correct answer: 4. Multidetector CT

Explanation: Multidetector CT: It has cone shaped beam of X-ray Multiple slices of detectors and useful in Cardiovascular imaging. Multi-detector CT is particularly suitable for imaging of the chest, heart and vessels. It is also useful for imaging of trauma patients.